Muscle attached to lateral surface of greater trochanter
1. Gluteus maximus
2. Gluteus medius
3. Gluteus minimus
4. Piriformis

Correct answer: 2. Gluteus medius

Explanation: GREATER TROCHANTER:- Quadrangular prominence located on upper part of the junction of neck with the shaft.Attachments:-1. Apex-pyriformis 2. Anterior surface-gluteus minimus3. Medial surface- obturator internus and two gamelli.4. Trochanteric fossa- obturator externus.5. Lateral surface-gluteus medius. {Reference: BDC 6E pg no. 16}